The CSF findings in TB meningitis include ?
1. High sugar + low protein
2. Low sugar + high protein and Lymphocytosis
3. High sugar + high chloride
4. Low sugar + high protein and Lymphopenia

Correct answer: 2. Low sugar + high protein and Lymphocytosis

Explanation: Ans. is 'b' i.e., Low sugar + High protein, and Lymphocytosis CSF in TB meningitis o Low sugar o Predominant cells --> Lymphocytes o Opening pressure is elevated o High protein o Very low chloride